A 22 year old male following a sports trauma presented with pain and stiffness in the neck. On examination, the right shoulder is drooping . Which of the following muscle is likely to be paralysed?
1. Trapezius
2. Deltoid
3. Latissimus dorsi
4. All of the above

Correct answer: 1. Trapezius

Explanation: Drooping of the shoulder is caused by paralysis of the trapezius. The trapezius is innnervated by spinal accessory nerve (CN XI). It causes retraction of scapula, shrugging of the shoulder and overhead abduction ( along with serratus anterior). Paralysis of trapezius causes drooping of shoulder and slight winging of scapula (the superior angle of scapula becomes more prominent) Ref: Gray's Anatomy for students 4th edition Pgno: 101